In the case of a 70-year-old lady with an intracapsular fracture of the neck of femur, the ideal treatment would be -
1. Closed traction
2. Hemiarthropalsty
3. Internal fixation with nail
4. Internal fixation with nail and plate

Correct answer: 2. Hemiarthropalsty

Explanation: Treatment of choice in patients 70 years or above is arthroplasty; either hemiarthroplasty (if no pre-existing arthritis) or total hip replacement (if pre-existing arthritis is present).